Hyperglycemia is seen in which of the following lung cancer
1. SCC
2. Small cell carcinoma
3. Adenocarcinoma
4. Large cell carcinoma

Correct answer: 2. Small cell carcinoma

Explanation: Small cell lung cancer (SCLC) is a neuroendocrine tumor with the potential to secrete various peptides or hormones that can lead to paraneoplastic syndromes, such as Ectopic Cushing syndrome (ECS). Because of the aggressive nature of the syndrome and its atypical features, ECS in small-cell lung cancer is difficult to diagnose and has a poor prognosis. And can cause hypokalemia,hyperglycemia ,muscle weakness, peripheral odema Ref Harrison 20th edition pg 546